Tendon xanthomas are seen in -
1. Familial hyper cholesterolemia
2. Familial hyperlipidemica
3. Familial dysbetalipoproteinemia
4. Familial lipoprotein lipase deficiency

Correct answer: 1. Familial hyper cholesterolemia

Explanation: Ans. is 'a' i.e., Familial hypercholesterolemiao Xanthomas are tumour like collection of foamy histiocytes within the dermis. They are usually the result of impaired excretion of cholesterol and hyperlipidemia. Eruptive xanthomas --> Type I & Type V hyperlipidemia Tendon & Tuberous xanthomas --> Type Ila hyperlipidemia. Palmer & Tuberoeruptive xanthomas --> Type III hyperlipidemia. No xanthomas --> Type II b & Type IV hyperlipidemia.